Drug of choice for reversal of muscle relaxant after anaerthesia
1. Pralidoxine
2. Neostigmine
3. Atropine
4. None

Correct answer: 2. Neostigmine

Explanation: Ans. is 'b' i.e., Neostigmine Reversal of neuromuscular block Nondepolarising muscle relaxants have antagonistic action on acetylcholine Anticholinesterases act by inhibiting the action of acetylcholinesterase (an enzyme that degrades acetylcholine by causing its hydrolysis). Anticholinesterases thus increase the level of acetylcholine at the neuromuscular junction. Neostigmine also has some additional direct action on cholinergic receptors i.e., it depolarizes motor end plate. It does not increase the release of ACH. Accumulated ACH acts on prejunctional muscarinic autoreceptors and inhibits the release of ACH.